Which of the following is not altered by rifling a gun?
1. Prevents wobbling of the bullet
2. Improves greater power of penetration of bullet
3. Decreases the smoke from the barrel
4. Imparts gyroscopic stability of bullet

Correct answer: 3. Decreases the smoke from the barrel

Explanation: Advantages of rifling a gun: Imparts gyroscopic stability Increases accuracy and range Prevents wobbling or tumbling end-over-end Gives greater power of penetration